Solitary eosinophilic granuloma, commonest in the-
1. Femur
2. Skull
3. Radius
4. Lumbar vertebra

Correct answer: 2. Skull